Drug of choice for Akathisia is
1. Dantrolene sodium
2. Propranolol
3. Anticholinergics
4. Levodopa

Correct answer: 2. Propranolol

Explanation: Akathisia is an extrapyramidal side effect caused by antipsychotic because of increase in cholinergic activity. Although both Beta - blockers and anticholinergics can be used Propanalol remains as the drug of choice.